All drugs can be used in the treatment of H. Pylori infection except
1. Omeprazole
2. Metronidazole
3. Amoxicillin
4. Mosapride

Correct answer: 4. Mosapride

Explanation: Ans. is 'd' i.e. Mosapride RECOMMENDED TREATMENT REGIMEN FOR HELICOBACTER PYLORI:Regimen durationDrug 1Drug 2Drug 3Drug 4First line treatmentRegimen 1OCA (7 days) Regimen 2OCM (2 days)OmeprazoleOmeprazoleClarithromycinClarithromycinAmoxicillinMetronidazole--Second line treatmentRegimen 3OBTM(14days)OmeprazoleBismuthTetracyclineMetronidazole